Increased airway resistance is/are caused by
1. Forced expiration
2. Dense air
3. Low lung volume
4. All

Correct answer: 4. All

Explanation: A, B, C i.e. Forced expiration, Dense air, Low lung volume